All the following are true about Haemophilia A except
1. PT increased
2. PTT increased
3. Serum levels of factor VIII are decreased
4. Clotting time is increased

Correct answer: 1. PT increased

Explanation: In Haemophilia A, bleeding time, prothrombin time and platelet counts are normal. aPTT is typically prolonged. Factor 8 is decreased. Clotting time is increased. Reference : Medicine, Prep Manual of UG, George Mathew,5th Edition, page no : 98.